Which of the following is obligate aerobe?
1. Pseudomonas aeruginosa
2. E.coli
3. Proteus
4. C. diphtheria

Correct answer: 1. Pseudomonas aeruginosa

Explanation: Ans. a (Pseudomonas aeruginosa). (Ref. Anantanarayan, Microbiology, 4th/pg.310) E.g.CommentsObligate aerobesNocardia,Pseudomonas aeruginosa,Mycobacterium tuberculosis,Bacillus.Use an O2-dependent system to generate ATP.M. tuberculosis has a predilection for the apices of the lung, which have the highest PO2.Obligate anaerobesActinomyces.Bacteroides,ClostridiumThey lack catalase and/or superoxide dismutase and are thus susceptible to oxidative damage. (ABCs).Generally foul smelling (short-chain fatty acids), are difficult to culture, and produce gas in tissue (CO2 and H2).Urease- positiveH. pylori,Proteus,Klebsiella,Ureaplasma. a-hemolyticStreptococcus pneumoniaViridans streptococciCatalase negative and optochin sensitive.Catalase negative and optochin resistant.b-hemolyticStaphylococcus aureusStreptococcus pyogenes--group A strepStreptococcus agalactiae--group B strepListeria monocytogenesCatalase and coagulase positiveCatalase negative and bacitracin sensitive.Catalase negative and bacitracin resistant.Tumbling motility, meningitis in newborns, unpasteurized milk.PSEUDOMONAS AERUGINOSA (WATER BUG)# Gram-negative, motile bacteria (polar flagella)# Obligate aerobe (used for anaerobiosis)# Produce number of pigments (pyocyanin, fluroscien, pyoverdin, pyorubin, pyomelanin)# Produces exotoxin A, which acts similar to diphtheria toxin# Selective media - cetrimide agar# Most common cause of septicemia after blood transfusion.# Most common infection in cystic fibrosis# Most common cause of nosocomial pneumonia# Most common and serious infection in bums# Most common infection caused by it, outside the hospitals -^CSOM# Ecthyma gangrenosum# Shanghai fever# Infantile diarrhoea# Melioidosis - P.pseudomalleiQ